5 H. indole acetic acid in urine is seen in ?
1. Carcinoid
2. Pheochromocytoma
3. Hirschsprung's disease
4. Wilm's tumor

Correct answer: 1. Carcinoid

Explanation: Answer is 'a' i.e. Carcinoid The diagnosis of carcinoid syndrome relies on measurement of urinary or plasma serotonin or its metabolite (5- HIAA) in the urine In pheochromocytoma urine is positive for - catecholamines or its metabolites (VMA, metanephrines)